Chlamydia psittacosis all are true except -
1. Acquired from bird's droppings
2. Causes urethritis
3. Causes pneumonia
4. Treatment is tetracycline

Correct answer: 2. Causes urethritis

Explanation: Urethritis does not occur in psittacosis